The tonsillar ring or Waldeyer's ring consists of which of the following:
1. The adenoid
2. The lingual tonsil
3. The tonsil
4. All of the above

Correct answer: 4. All of the above